Which of the following is false regarding Naphthalene poisoning?
1. It causes haemolysis in G-6-PD deficiency patients
2. It causes hypothermia due to formation of naphthylamines
3. Oily and fatty preparation should be avoided during treatment
4. Fatal dose - 2 grams

Correct answer: 2. It causes hypothermia due to formation of naphthylamines

Explanation: It causes haemolysis in G-6-PD deficiency patients It causes hyperthermia due to formation of naphthylamines Oily and fatty preparation should be avoided during treatment Fatal dose - 2 grams chronic exposure can results in aplastic anemia, hepatic necrosis and jaundice.